All of the following can cause SLE like syndrome except aEUR'
1. INH
2. Penicillin
3. Hydralazine
4. Sulphonamide

Correct answer: 2. Penicillin

Explanation: Penicilin Drug induce SLE . Appearance of SLE like symptoms in association with intake of certain drugs. . Common symptoms are fever, malaise. arthritis or intense arthralgias/ inyalgias, serositis and or rash. Some special points to note are ? . It is predominant in caucasians0 It has less famnale prediliction than SLE. It rarely involves kidneys or brainy. It is rarely associated with anti Ds DNAQ. . It is commonly associated with antibodies to histoneso. . It usually resolves over several weeksQ after discontinuation of the offending medication.